A psychiatric patient on regular treatment had his routine check-up. His fundus shows the below finding. The most probable drug implicated is ( Pigmented retinal epithelium)
1. Thioridazone
2. Haloperidol
3. Chlorpromazine
4. Clozapine

Correct answer: 1. Thioridazone

Explanation: Irreversible retinal pigmentation is associated with the use of thioridazine at dosages above 1000mg/day(hence <800/day ) nocturnal confusion is an early sign of this adverse effect. Reference: P.3121 chap. 31.17First-Generation Antipsychotics (Kaplan & Sadock's Comprehensive Textbook of Psychiatry, 9th Edition)